Fronto-temporal dementias include all except
1. Pick's disease
2. Nonfluent aphasia
3. Semantic dementia
4. Alzheimer's disease

Correct answer: 4. Alzheimer's disease

Explanation: Frontotemporal Dementia (Pick's Disease) In contrast to the parietal-temporal distribution of pathological findings in Alzheimer's disease, Pick's disease is characterized by a preponderance of atrophy in the frontotemporal regions. Pick's disease is difficult to distinguish from dementia of the Alzheimer's type, although the early stages of Pick's disease are more often characterized by personality and behavioral changes, with relative preservation of other cognitive functions, and it typically begins before 75 years of age. Features of Kluver-Bucy syndrome (e.g., hypersexuality, placidity, and hyperorality) are much more common in Pick's disease than in Alzheimer's disease. Reference: Kaplan & Sadock's Synopsis of Psychiatry, 11th edition, page 709.